SUPAR is a blood marker for
1. Minimal change disease
2. Membranous  nephropathy
3. Focal segmental Glomerulo sclerosis
4. All the above

Correct answer: 3. Focal segmental Glomerulo sclerosis

Explanation: FSGS - supar.
Mbranous  nephropathy - M - PLA2.